Which of the following antidepressant can also be used as antipsychotic?
1. Amitryptaline
2. Trazodone
3. Amoxapine
4. Doxepin

Correct answer: 3. Amoxapine

Explanation: Amoxapine is a Tetracyclic antidepressant which also has D2 blocking actions hence can be used as antipsychotic.